The term 'psychoanalysis' is associated with:
1. John Broadus Watson
2. Carl Gustav Jung
3. Sigmond Freud
4. Wilhelm Reich

Correct answer: 3. Sigmond Freud

Explanation: Ans. C: Sigmond FreudPsychoanalysis/Freudian psychology is a body of ideas developed by Austrian physician Sigmund Freud and continued by others.It is primarily devoted to the study of human psychological functioning and behavior, although it can also be applied to societies.Psychoanalysis has three applications:A method of investigation of the mind and the way one thinks;A systematized set of theories about human behavior;A method of treatment of psychological or emotional illness.